Herd immunity provides protection to -
1. Immunized persons
2. Non immunized persons
3. Both
4. None

Correct answer: 2. Non immunized persons

Explanation: Ans. is 'b' i.e., Non-immunized person Herd immunity It is the level of resistance of a community or group of people to a particular disease. It occurs when the vaccination of a portion of the population (or herd) provides protection to unprotected (non-vaccinated) individuals. How does herd immunity provide protection to nonimmunized person ? o Infection is spread from person to person. o If a large number of population are immune, it is more difficult to maintain a chain of infection. o The more immune individuals present in a population, the lower the likelihood that a susceptible person will come into contact with an infected individual. o For example, if person 'A' had a disease and exposed person 'B' who was immune because of vaccination, person `B' would not get ill and could not pass on the disease to person 'C' when he comes into contact with him. So, even if person 'C' is not vaccinated, He indirectly gets protection from the disease. o Hence herd immunity may be used to reduce spread of an infection and to protect a vulnerable, un-vaccinated subgroup.